In sutures, there is proliferation of connective tissue
followed by replacement of bone. This is called:
1. Endochondral bone growth
2. Intramembranous growth
3. Appositional growth
4. Periosteal growth

Correct answer: 2. Intramembranous growth